The articular cartilage is characterized by all of the following features except :
1. It is devoid of perichondrium
2. It has a rich nerve supply
3. It is avascular
4. It lacks the capacity to regenerate

Correct answer: 2. It has a rich nerve supply

Explanation: B. i.e. It has a rich nerve supply